True about 'Tetralogy of Fallot' (TOF) are all of the following EXCEPT?
1. It is the most common congenital cyanotic heart disease in children
2. Severity of disease depends on the severity of pulmonary stenosis
3. Atrial septal defect is one of the components of TOF
4. Boot shaped heart is seen on chest X ray

Correct answer: 3. Atrial septal defect is one of the components of TOF

Explanation: TETRALOGY OF FALLOT: --> MC congenital cyanotic heart disease in children --> Contain 4 COMPONENTS: 1. Large, unrestricted VSD 2. Pulmonary infundibular stenosis 3. Overriding aorta 4. Right ventricular hypertrophy --> CLINICAL FEATURES: Cyanosis Clubbing Polycythemia Cyanotic spells Heart failure is not seen in TOF, unless it is complicated by Anemia /Infective endocarditis /Myocarditis / Systemic hypertension Severity of cyanosis is directly proportional to the severity of pulmonary stenosis; while intensity of murmur is inversly proportional to severity of pulmonary stenosis During cyanotic spell, murmur decreases or becomes absent -Ostium primum type ASD: It is situated in the lower portion of atrial septum and overlies mitral and tricuspid valves. Left axis deviation is seen in ostium primum ASD due to RV conduction defect. - Ostium secundum is most common type of ASD - SYNDROMES ASSOCIATED WITH ASD 1. Pierre Robin Sequence 2. TAR Syndrome 3. Fetal Alcohol syndrome 4. Ehler Danlos Syndrome 5. Down Syndrome 6. Holt-Oram syndrome 7. Ellis van Creveld Syndrome 8. Rubinstein Taybi syndrome